True about revesible non-competetive inhibitorsa) Lower Vmaxb) Lower Kmc) Not affect Kmd) Not affect Vmaxe) Affect both V max & Km
1. a
2. ac
3. ad
4. b

Correct answer: 2. ac